Enzyme used in PCR is ?
1. Reverse transcriptase
2. Tag polymerase
3. RNA polymerase
4. None

Correct answer: 2. Tag polymerase

Explanation: Ans. is 'b' i.e., Taq polymerase PCR is a method of enzymatic amplification of a target sequence of DNAe.It is sensitive, selective (specific) and extremely rapid means of amplifying any desired sequence of double stranded DNAe, which can be as short as 50-100 base pairs (bp) and as long as 10 kbp.In PCR, the DNA to be amplified is replicated by DNA polymerase of Thermus aquaticus (Taq). Taq polymerase is use because it is thermostable0, not denatured at a temperature upto 95degC (in PCR DNA is to be heated to 94deg-95deg C for separation of strands).For amplifying a desired DNA sequence in DNA, we have to know short flanking sequences on either side of the target segue nce so that complementary primers can be prepared.Primers0 are the synthetic oligonucleotides of 20-35 sequence, which have sequence complementary to flanking sequence, i.e. sequence of flanking region of target DNA sequence.Primers are amplified to produce desired sequence of DNA.